The arterial supply of trachea is by the:
1. Bronchial artery
2. Tracheal artery
3. Inferior thyroid artery
4. Superior thyroid artery

Correct answer: 3. Inferior thyroid artery